What is the most common organism that causes infected abdominal aortic aneurysms (AAAs)?
1. Escherichia coli
2. Bacteroides
3. Salmonella
4. Pseudomonas aeruginosa

Correct answer: 3. Salmonella

Explanation: There are four different causes of an infected aneurysm. (1) Mycotic aneurysms involve a septic embolus from the heart infecting an artery. (2) Microbial arteritis involves bacteria infecting an athero- sclerotic artery to cause aneurysmal degeneration (80% of infected aneurysms). (4) Traumatic pseudoaneurysm that has concomitant bacterial inoculation. Salmonella causes 40% of all aneurysmal infections, with most others being caused by Streptococcus, Staphylococcus, Bacteroides, E. coli, and P. aeruginosa. Blood cultures are positive in only 50% of cases.